Surgical treatment for asymptomatic uterine myoma is indicated if :
1. The myoma is pedunculated
2. Tumour is larger than the size of 3 months pregnancy
3. Diagnosis is uncertain
4. All of the above

Correct answer: 4. All of the above

Explanation: All of the above